All the following are true regarding dietary fibres EXCEPT:
1. Increases stool transit time
2. Binds to bile salt and reduce its reabsorption
3. Inhibit faecal mutagen synthesis
4. Reduces post prandial glucose level

Correct answer: 1. Increases stool transit time

Explanation: Ans: a (Increases stool transit time) Ref: Park, 20th ed. Pg. 530 Dietary fibre * Non starch polysaccharide which is physiologically important component of the diet. * Broadly divided into cellulose and non cellulose polysaccharide. * Non cellulose polysaccharide include hemicellulose, pectin, storage polysaccharide like inulin * Degraded by the microflora in human intestine * Insoluble dietary fibre o Cellulose, hemi cellulose and lignin * Soluble dietary fibre o Pectin gum, and mucilage Functions of dietary fibres: Absorb water, increase the bulk of stool thereby encouraging bowel movement. Emulsification of fibre by the intestinal bacteria will make stool softer and more easier for passage. Decreases the putrefaction and and formation of gases and toxic substance by reducing the transit time. Inhibits faecal mutagen synthesis by changing colonic pH and bacterial metabolism. Its binding to bile salts and prevention of its reabsorption will reduce the cholesterol in circulation thereby reducing the incidence of coronary heart disease. Fibres particularly gums and pectin reduce the post prandial blood glucose.